Left gastric vein drains into:
1. Inferior vena cava
2. Portal vein
3. Directly into splenic vein
4. Splenic vein through short gastric vein

Correct answer: 2. Portal vein

Explanation: B i.e. Portal vein-Left and right gastric veins drain directly into the portal veinQ.- Portal vein is formed by union of superior mesenteric & splenic veins behind the neck of pancreasQ at the level of L2 vertebrae and runsupwards with bile duct & hepatic artery (related anteriorly)(2 and inferior i'ena cava (related posteriorly)Q